Chemotherapy is not useful in :
1. Chondrosarcoma
2. Wilm's tumor
3. Choriocarcinoma
4. All

Correct answer: 1. Chondrosarcoma